Tuohy's needle is used for
1. Spinal block
2. Epidural block
3. Saddle block
4. Brachial plexus block

Correct answer: 2. Epidural block

Explanation: Tuohy's needle used for epidural anaesthesia has blunt bevel with 15 to 30 curve at tip.